Substrate level phosphorylation is catalysed by which enzyme?
1. Succinate dehydrogenase
2. Alpha keto glutarate dehydrogenase
3. Succinate thiokinase
4. Malate dehydrogenase

Correct answer: 3. Succinate thiokinase

Explanation: In TCA Cycle, Fifth step: Generation of succinate. The reaction involves a substrate level phosphorylation whereby a high energy phosphate is generated from the energy trapped in the thioester bond of succinyl CoA. The enzyme is succinate thiokinase. The molecule of GDP is phosphorylated to GTP and succinate is formed.Ref: DM Vasudevan, 7th edition, page no: 248